Water powder ratio of dental stone and plaster is
respectively
1. 0.28 and 0.6
2. 0.6 and 0. 28
3. 0.6 and 3.2
4. 0.28 and 0.98

Correct answer: 1. 0.28 and 0.6